True about personality disorder:
1. It arises during childhood
2. It matures during adulthood
3. Suspiciousness is seen in paranoid personality disorder.
4. All

Correct answer: 4. All

Explanation: A. i.e. It arises during childhood; B. i.e. It matures during adult; C i.e. Suspiciousness is seen in paranoid personality disorder